Clomiphene acts to induce ovulation by wof mechanisms
1. Diminishing ER-mediated negative feedback at the pituitary
2. Increasing the action of ER a in the ovary
3. Increasing the action of ER a in the hypothalamus
4. Increasing the amount of ER a

Correct answer: 1. Diminishing ER-mediated negative feedback at the pituitary

Explanation: Antiestrogens Clomiphene citrate:- It binds to both ERa and ERb and acts as a pure estrogen antagonist.it induces Gn secretion in women by blocking estrogenic feedback inhibition of pituitary. The amount of LH/FSH released at each secretory pulse is increased. In response, the ovaries enlarge and ovulation occurs if the ovaries are responsive to Gn. Adverse effects:- Polycystic ovaries, multiple pregnancy, hot flushes, gastric upset, vertigo, allergic dermatitis. Risk of ovarian tumour may be increased. Ref:- kd tripathi; pg num:-312